Which does not cause malignant hyperthermia –
1. Isoflurane
2. Desflurane
3. N2O
4. Enflurane

Correct answer: 3. N2O